a' wave in ,JVP is seen in -
1. Will be large when atria contracts against resistance
2. Filling of ventricles
3. It is followed by "V" waves
4. ↓in inspiration

Correct answer: 1. Will be large when atria contracts against resistance